True about caisson's disease
1. O2 release from tissues
2. CO2 release from tissues
3. N2 release from tissues
4. H2 release from tissues

Correct answer: 3. N2 release from tissues

Explanation: An acute disorder involving the formation of nitrogen bubbles in the body fluids, caused by a sudden drop in external pressure, as during a too-rapid ascent from diving, and resulting in pain in the lungs and joints and faintness.Ref: Textbook of pathology Harsh Mohan 6th edition Page no; 123